Cause of Farmer's lung-
1. Cotton dust
2. Grain dust
3. Sugarcane dust
4. Iron

Correct answer: 2. Grain dust

Explanation: - farmers lungs is due to the inhalation of mouldy or hay grain dust. - micropolyspora faeni is the main cause of farmer's lung. - repeated attacks cause pulmonary fibrosis, inevitable pulmonary damage and cor pulmonale. Reference: Park's textbook of preventive and social medicine, 23rd edition, pg no:807